If corpus luteum is functioning, its endocrine function is initiated by the influence of the following hormone:
1. LH
2. FSH
3. GnRH
4. All of the above

Correct answer: 1. LH

Explanation: After ovulation, the granulosa cells and theca interna of the ovulated follicle reorganize to form a larger temporary endocrine gland, the corpus luteum, in the ovarian cortex. Cells of both the granulosa and theca interna change histologically and functionally under the influence of LH, becoming specialized for more extensive production of progesterone in addition to estrogens. Ref: Mescher A.L. (2013). Chapter 22. The Female Reproductive System. In A.L. Mescher (Ed), Junqueira's Basic Histology, 13e.